Enlarged pulsatile liver is seen in -
1. Tricuspid regurgitation
2. Aortic regurgitation
3. Mitral regurgitation
4. Pulmonary regurgitation

Correct answer: 1. Tricuspid regurgitation